H. ducreyi causes:
1. Soft chancre
2. Hard chancre
3. Pustule
4. Painless chancre

Correct answer: 1. Soft chancre

Explanation: Soft chancre